Alexithymia is
1. A feeling of intense rapture
2. Pathological sadness
3. Affective flattening
4. Inability to recognize and describe feelings

Correct answer: 4. Inability to recognize and describe feelings

Explanation: Alexithymia is inability or difficulty in describing or being aware of one's emotions or moods; elaboration of fantasies associated with depression, substance abuse, and posttraumatic stress disorder (PTSD). Reference:Kaplan & Sadock's Comprehensive textbook of Psychiatry Tenth edition, Volume 3 Pg.4559